All of the following are dental characteristics of a
skeletal class III malocclusion, except:
1. Anterior cross bite
2. Distocclusion
3. Linguoversion of the mandibular molars
4. Posterior cross bite

Correct answer: 2. Distocclusion